the movement medial/nasal movement is lost in this action which neve is affected
1. 4th nerve
2. 6th nerve
3. 3rd nerve
4. 7th nerve

Correct answer: 3. 3rd nerve

Explanation: ref : ak khurana 7th ed